Wrong about Laryngitis sicca -
1. Also known as Laryngitis atrophica
2. Caused by Klebsiella ozaenae
3. Caused by Rhinosporidium
4. Common in women

Correct answer: 3. Caused by Rhinosporidium